Best way to treat street wounds -
1. Immediate suturing
2. Cleaning with saline and debridement
3. Oral antibiotics
4. Leave it alone

Correct answer: 2. Cleaning with saline and debridement